All of the following statements are true regarding craniopharyngioma, except:
1. Origin from Rathke's pouch
2. Aggressive malignant tumor
3. Papillary variant of the tumour is associated with BRAF V600E mutation
4. Adamantinomatous variant is associated with abnormality in WNT/CTNNB1 (b-catenin) pathway

Correct answer: 2. Aggressive malignant tumor

Explanation: Craniopharyngioma Arise from vestigial remnants of Rathke's pouch. Slow-growing benign tumors Accounts 1% to 5% of intracranial tumors. Minority of these lesions occurs within sella, but most are suprasellar with/ without intrasellar extension. Adamantinomatous craniopharyngioma - Abnormalities of WNT signaling pathway, activating mutations of gene encoding b-catenin. Papillary subtype is characterized by activating mutations of the BRAF oncogene at codon 600 (V600E).